Smooth surface caries refers to
1. Facial and lingual surfaces
2. Occlusal pits and grooves
3. Mesial and distal surfaces
4. Both 1 and 3

Correct answer: 4. Both 1 and 3

Explanation: Smooth surface caries occurs on any of the axial (facial, lingual, mesial, and distal) tooth surfaces but not the occlusal.